Chassar Moir surgery is done is case of:
1. Uterine inversion
2. VVF repair
3. Ureterovesical fistula repair
4. Retroverted uterus

Correct answer: 2. VVF repair

Explanation: Ans. is b, i.e. VVF repairRef: Shaw 14th/ed, p168SurgeryDone in1. Kelly stitch/Boney's Test/Marshall Marchetti Krantz SurgeryStress Urinary Incontinence2. Chassar Moir Technique/ Latzko technique/ layer techniqueVVF Repair3. Boari Flap TechniqueUretrovaginal Fistula repair4. Purandare Sling/ Fothergill's Repair/ Manchester Repair/Ward Mayo Hysterectomy/ Lefort's ColpocleisisProlapse Uterus5. Strassman Unification SurgeryBicornuate/Didelphic uterus (Indication for operation, if bicornuate or didelphic uterus lead to >3 Abortion)6. Hysteroscopic Septal Resection (M/c done), Jones/Thompkins/ Williams metroplastySeptate Uterus7. McIndoe VaginoplastyMRKH Syndrome/Vaginal agenesis (Best time to perform this surgery is just before/just after marriage)8. Me Donald/Shirodkar CerclageIncompetent Internal os9. Baldy Webster operation, Modified Gilliams operation, Laparoscopic ventrosuspensionRetroversion of the uterus10. Haultains Operation(via abdominal route Spinellis operation (via vaginal route)Inversion of uterus